In a community, an increase in new cases denotes:
1. Increase in incidence rate
2. Increase in prevalence rate
3. Decrease in incidence rate
4. Decrease in prevalence rate

Correct answer: 1. Increase in incidence rate

Explanation: Incidence is defined as, "the number of new cases occurring in a defined population during a specified period of time". Incidence measures the rate at which new cases occur in a community. Ref:Parks Textbook of Preventive and Social Medicine By K.Park, 18th Edition, Page 55